Dying deposition is recorded by-
1. Doctor
2. Magistrate
3. Police officer
4. Lawyer

Correct answer: 2. Magistrate

Explanation: Dying deposition is recorded by magistrate.